Linear pattern of Ig deposition in glomerular basement membrane is seen in
1. Lupus nephritis
2. Diabetic glomerulonephropathy
3. Renal vein thrombosis
4. Good pasture's disease

Correct answer: 4. Good pasture's disease

Explanation: Ans: d (Good pasture s disease)Reference: Robbins, 8th ed pg. 912Renal InvolvementCharacteristic1. Post Streptococcal glomerulonephritis (PSGN)2. Membranous glomerulopathy3. IgA nephropathy4. Membrano proliferative glomerulo nephritis (MPGN)Enlarged hypercellular glomeruli Severe form - Crescent formation IF: Granular deposits of IgG, IgM, C3 along GBM E/M: "Subepithelial humps"Diffuse thickening of glomerular capillary wallE/M: electro denseSubepithelial deposit of IgSilver- "Spike like projection"Focal segmental or diffuseProliferation of mesangiumIF: IgA deposits in mesangiumE/M: Electron dense mesangial deposits Thickening of GBM with proliferation of glomerular cells & leukocytic infiltrationLight microscopy - Double contour or tram-track appearance - split basement membraneType 1 - Subendothelial depositsType 2 - Intramembranous deposits5. Lupus nephritis IF: Irregular mesangial & capillary loop deposits Subendothelial location6. Good Pasture Dense linear IgG staining of syndrome the GBM7. Diabetic Nephropathy Nodular Mesangial expansion "Kimmelstal Wilson Nodule" with increased mesangial matrix and cellularity & micro aneurysm formation.